Acute phase reactant include all except -
1. C reactive protein
2. Ferritin
3. Ceruloplasmin
4. Hemoglobin

Correct answer: 4. Hemoglobin

Explanation: Hemoglobin is the O2 carrying pigment in RBCs. Acute phase proteins are those proteins that are raised in response to acute inflammation. Basic Pathology, Robbins. Page no.: 57